Which of the following family in which dengue virus belongs to?
1. Alphaviridae
2. Reoviridae
3. Flaviviridae
4. Bunyaviridae

Correct answer: 3. Flaviviridae

Explanation: Dengue (breakbone fever) is a mosquito-borne infection caused by a flavivirus that is characterized by fever, severe headache, muscle and joint pain, nausea and vomiting, eye pain, and rash. Severe forms of the disease, dengue hemorrhagic fever and dengue shock syndrome, principally affect children. Ref: Brooks G.F. (2013). Chapter 38. Arthropod-Borne and Rodent-Borne Viral Diseases. In G.F. Brooks (Ed), Jawetz, Melnick, & Adelberg's Medical Microbiology, 26e.